Children can reach for objects by:
1. 4 months
2. 6 months
3. 8 months
4. 10 months

Correct answer: 1. 4 months

Explanation: Ans: A (4 months) Ref: Nelson Textbook of Pediatrics, 19th edition. Pg 27. Explanation: (See following table) Fine motor milestones MilestoneAverage age of attainment (in months)Developmental implicationsGrasps rattle3.5Object useReaches for objects4Visuomotor coordinationPalmar grasp gone4Voluntary releaseTransfers object hand to hand5.5Comparison of objectsThumb-finger grasp8Able to explore small objectsTurns pages of book12Increasing autonomy during book timeScribbles13Visuomotor coordinationBuilds tower of 2 cubes15Uses objects in combinationBuilds tower of 6 cubes22Requires visual, gross, and fine motor coordination